A microbiologist working on influenza virus in a lab, observes reversal of hemagglutination. This phenomenon is called as?
1. Hemolysis
2. Elution
3. Complement fixation
4. Precipitation

Correct answer: 2. Elution

Explanation: Elution is the process of reversal of hemagglutination and the release of the virus from the red cell surface. This occurs due to neuraminidase (NA) which is present on the surface of influeza virus. (Influenza contains two surface antigens HA and NA). Neuraminidase destroys the receptor which is used for binding. Hence, it is also called as receptor destroying enzyme (RDE). Hemagglutination by the influenza virus is due to the presence of hemagglutinin(HA) antigen on the surface of the virus. It occurs due to presence of an insoluble antigen. Option A: Hemolysis is destruction of RBCs, which can be caused by bacteria (streptococcus, staphylococcus, enterococcus), and by parasites (malaria) Option C: Complement fixation test is not shown by influenza, it detects complement fixing antibodies in patient's serum. Option D: Precipitation reaction is not shown by influenza. It occurs when a soluble antigen react with its antibody. Reference: Ananthanarayan and Paniker's Textbook of Microbiology Tenth edition